Operation theatre fire is most commonly due to?
1. Argon beam coagulators
2. Laser
3. Fiber optic illumination
4. Electrosurgical equipment

Correct answer: 4. Electrosurgical equipment

Explanation: ANSWER: (D) Electrosurgical equipmentREF: British Journal of Anesthesia Volume 50, Issue 7 p. 659-664, Current Opinion in Anaesthesiology: December 2008 Volume 21 Issue 6 p. 790-795The two most common source of operation theatre fire is electrosurgical unit (ESU) and lasers.Other equipments that can produces fire are, but not limited to, fiber optic light cables, light source box, drills, saws & burrs, handheld cautery, argon beam coagulators and defibrillators.ECRI's analysis of case reports showT that the most common ignition sources are electrosurgical instruments (68%) and lasers (13%); and the most common fire location is the airway (34%), head or face (28%), and elsewhere on or inside the patient (38%), An oxygen-enriched atmosphere wTas a contributing factor in 74% of all cases.